TRUE/FALSE about vertebral artery is /are:1. Enter skull through condylar canal2. Branch of internal carotid artery3. Branch of subclavian artery4. Accompany sympathetic ganglion5. Passes through foramen transversarium of cervical vertebrae
1. 1,2,3 true & 4,5 false
2. 1,2,4 false & 3,5 true
3. 1,3,5 true & 2,4 false
4. All are true

Correct answer: 2. 1,2,4 false & 3,5 true

Explanation: Vertebral artery is one of the principal arteries which supply the brain. It arises from the posterosuperior aspect of the first part of the subclavian artery near its commencement. The first part extends from the origin of the artery (from the subclavian artery) to the transverse process of the sixth cervical vertebra.2nd part runs through the foramen transversarium of the upper six cervical vertebrae.3rd part lies in the occipital triangle.4th part extends from the posterior atlantooccipital membrane to the lower border of the pons."It passes medially above the posterior arch of the atlas and then ascends through foramen magnum into the skull".